A 54-year-old man presents with dysphagia, heartburn, belching, and epigastric pain. A barium swallow shows a sliding hiatal hernia and a stricture situated higher than usual in the mid-esophagus. Endoscopic findings suggest Barrett's esophagus (ectopic gastric epithelium lining the esophagus). Marked esophagitis with linear ulcerations are seen during endoscopy. A biopsy shows columnar epithelium at the affected area and normal squamous epithelium above, confirming the diagnosis. What statement is TRUE regarding this condition?
1. Adenocarcinoma is less common in Barrett's esophagus
2. Most patients do not have associated gastroesophageal reflux
3. The presence of ectopic gastric lining protects against aspiration during sleep and prevents recurrent pneumonitis.
4. The present treatment is aimed at preventing esophagitis.

Correct answer: 4. The present treatment is aimed at preventing esophagitis.

Explanation: The present treatment is aimed at preventing esophagitis. Barrett's esophagus is regarded as a premalignant condition and is characterized by columnar metaplastic of the normal squamous epithelial lining of the esophagus. The cancer risk is increased 20-50-fold. About one-third of patients present with malignancy, and many cases of adenocarcinoma of the esophagus arise from Barrett's mucosa. There is an increased risk for the development of squamous carcinoma. It is found in 8-10% of patients with long standing reflux.